Most common extraintestinal manifestation of Inflammatory bowel disease?
1. Dermatological
2. Rheumatological
3. Metabolic bone disease
4. Hepatobiliary

Correct answer: 2. Rheumatological

Explanation: IBD MC Extraintestinal manifestation is Rheumatological-Migratory polyarthritis (Asymmetrical)-Sacroiliitis , A. Spondylitis